In type I diabetes, which of the following is true:-
1. Increased lipolysis
2. Decreased protein catabolism
3. Decreased hepatic glucose output
4. Increase glucose uptake

Correct answer: 1. Increased lipolysis

Explanation: diabetes mellitus 1 Metabolic change in DM Hyperglycemia - Hyperglycemia is primarily due to reduced glucose uptake by tissues and its increased production gluconeogenesis and glycogenolysis. ketoacidosis - due to increase in plasma free fatty acid Hypertriglyceridemia - conversion of fatty acid into triacylglycerols The activity of the enzyme lipoprotein lipase is low in diabetic patients. Consequently, the plasma levels of VLDL, chylomicrons and triacylglycerols are increased 4 protein metabolism - insulin increase protein synthesis. But in DM 1 NUSULIN deficiency is present so protein synthesis is decrease and protein degradation is increase. Function of Insulin Metabolism Net effect Crabohydrate metabolism Glycolysis Gluconeogenesis Glycogenesis Glycogenolysis HMP shunt Increased Decreased Increased Decreased Increased Lipid metabolism Lipogenesis Lipolysis Ketogenesis Increased Decreases Decreased Protein Metabolism Protein synthases Protein Degradation Increased Decreased